All of the following arteries are common sites of occlusion by a thrombus except -
1. Anterior interventricular
2. Posterior interventricular
3. Cirucumflex
4. Marginal

Correct answer: 4. Marginal

Explanation: Thrombus is not common in marginal artery.